Which of the following nuclei is involved in both light reflex and accomodation reflex?
1. Pretectal nucleus
2. Edinger - Westphal nucleus
3. Suprachiasmatic nucleus
4. Supraoptic nucleus

Correct answer: 2. Edinger - Westphal nucleus

Explanation: Explanation: - Pupillary light reflex: Visual pathway - pretectal nucleus - Edinger Westphal nucleus - constriction of the pupil. NOTE: Pretectal nucleus is connected to E-W nucleus bilaterally, causing contralateral pupil to also constrict (indirect light reflex). Accommodation reaction: Visual pathway - visual cortex (blurred image of a near object) - E-W nucleus - changes of accommodation.